Organism which is CAMP test positive and Bacitracin resistant is
1. S.Aureus
2. S.pyogenes
3. S.Agalactiae
4. Enterococcus

Correct answer: 3. S.Agalactiae

Explanation: S.Agalactiae which is a group B Streptococcus shows 

CAMP test positive 
HHT positive
BACITRACIN RESISTANT